Difference between large and small intestine is that small intestine has ?
1. Appendices epiploicae
2. Sacculation
3. Taeniae coli
4. Intestinal vili

Correct answer: 4. Intestinal vili

Explanation: Intestinal vili